Intense local pain, swelling, ecchymoses, and oozing of the hemolyzed blood from the site of snake bite is most likely to occur with bite of which species of snake?
1. Cobra
2. Viper
3. Sea Snakes
4. Any of the above

Correct answer: 2. Viper

Explanation: Types of venom -- may be* Neurotoxic -- cobra, krait* Hemotoxic -- vipers* Myotoxic -- sea snake Ref: K.S. Narayan Reddy's Synopsis of Forensic Medicine and Toxicology, 29th edition, Chapter 28 page-309,310.